Most important prognostic factor of wilms tumour -
1. Histopathology
2. Ploidy of cells
3. Age < 1 yr
4. Mutation, of clp gene

Correct answer: 1. Histopathology

Explanation: Ans. is 'a' i.e., Histopathology o Anaplastic nuclear change is the only criterion of "unfavourable" histology in Wilm's tumor and all Wilm's tumor lacking this feature are designated as having "favourable histology". o Anaplastic nuclear change reflects extreme polypoidy & is usually apparent under low magnification. "Anaplastic histology remains a critical determinant of adverse prognosis. Even anaplasia restricted to kidney confers an increased risk of recurrence & death, underscoring the need for correctly identifying this histologic features."